A 8 year old boy presented with swelling in the left eye of 3 months, examination revealed proptosis of left eye with preserved vision. Right eye is normal. CT scan revealed intraorbital extraconal mass lesion. Biopsy revealed embryonal rhabdomyosarcoma. Metastatic work up was normal. The standard line of treatment is -
1. Chemotherapy only
2. Wide local excision
3. Enucleation
4. Chemotherapy and Radiaton therapy

Correct answer: 4. Chemotherapy and Radiaton therapy

Explanation: Treatment of choice for rhabdomyosarcoma is Radiotherapy followed by chemotherapy.